The following statement about Gomez classification is false -
1. Based on height retardation
2. Based on 50th centile Boston standards
3. Between 75 and 89% implies mild malnutrition
4. This classification has prognostic value for hospitalization of children

Correct answer: 1. Based on height retardation

Explanation: Gomez classification is based on weight retardation. In this system, the normal reference child is in the 50th centile of the Boston standard. It has a prognostic value for hospitalized children.REF.PARK'S TEXTBOOK OF PREVENTIVE AND SOCIAL MEDICINE.Editon-21.Page no-591